Hypertonic dysfunctional labour is generally characterised by:
1. Rapid cervical dilatation
2. Less pain In labour
3. Responds favourably to oxytocin stimulation
4. Needs adequate pain relief

Correct answer: 4. Needs adequate pain relief

Explanation: Hypertonic state of uterus or Imcordinate uterine action : Patient is in agony with unbearable pain referred to back Oxytocin cause fetal tachycardia due to fetal stress Inappropriate dilatation of cervix Uterus is tender and gentle manipulation excites hardening of the uterus with pain. Ref: Dutta Obs 9e pg 337.